What should be the density of microfilaria in blood to make it infective to the vector
1. 5 microfilaria / drop of blood
2. 10 microfilaria / drop of blood
3. 15 microfilaria / drop of blood
4. 20 microfilaria / drop of blood

Correct answer: 3. 15 microfilaria / drop of blood

Explanation: A density of 15 microfilaria / drop of blood are needed to make it infective.